Paul bunnel test for -
1. Malta fever
2. Typhus fever
3. Enteric fever
4. Infectious mononucleosis

Correct answer: 4. Infectious mononucleosis

Explanation: The standard diagnostic procedure is the Paul Bunnell test. In infectious mononucleosis heterophile antibodies agglutinate sheep erythrocytes. REF:ANATHANARAYAN AND PANIKER'S TEXTBOOK OF MICROBIOLOGY 8TH EDITION PAGE NO:476